Bucco-lingual width of posterior teeth should be
1. Equal to the width of the natural teeth they replace
2. Greater than the width of the natural teeth they replace
3. Lesser than the width of the natural teeth they replace
4. Width of artificial posterior teeth is a matter of operator's preference

Correct answer: 3. Lesser than the width of the natural teeth they replace